Most common CNS neoplasm in HIV patient is
1. Medulloblastoma
2. Astrocytoma
3. Primary CNS lymphoma
4. Ependymoma

Correct answer: 3. Primary CNS lymphoma

Explanation: Ref Robbins 9/e p254_255 It is the most common CNS neoplasia in those with AIDS It is of B cell origin and most have caused by EBV in the immunosuppressant persons Histologically reticulon stains demonstrate that the infiltrating cells are separate from one another by silverstraing material .this pattern referred as hopping is characteristics of primary brain lymphoma